A 6 month old infant presented with multiple papules & exudative lesions on the face, scalp, trunk and few vesicles on palms and soles for 2 weeks. His mother has H/O itchy lesions. The most likely diagnosis is
1. Scabies
2. Infantile eczema
3. Infantile seborrheic dermatitis
4. Impetigo

Correct answer: 1. Scabies

Explanation: 6 month old infant presented with multiple papules & exudative lesions on the face, scalp, trunk and few vesicles on palms and soles for 2 weeks. His mother has H/O itchy lesions. The most likely diagnosis is scabies. infantile scabies is characterised by vesicles erythematous papules,pustules , vesicles over the face , scalp, palms and soles.. family history in mother is suggestive of scabie infection Infantile eczema:-Infantile phase:- AD more acute with predominantly involving face,scalp and extensor surfaces of extremities.Typically there are papules,vesicles,excoriations and exudation. Infantile seborrheic dermatitis lesions are greasy scaly plaques present over the scalp. Crusted lesions over the cheeks, and extensor aspect of upper and lower limbs. Impetigo lesions are presented as bullae or crusted lesions with honey comb crust. iadvl textbook of dermatology page 459